Which of the following is not a Hospital-Acquired infection?
1. Surgical site infection
2. STD
3. UTI
4. Pneumonia

Correct answer: 2. STD

Explanation: Infection acquired from the environment or the staff following surgery or after admission to the hospital is termed as Hospital-acquired infection (HAI) which is also referred to as Nosocomial infections. There are 4 main groups of HAIs 1. Respiratory infections - including Ventilator-associated pneumonia (10-15%) 2. Bacteremia - related to indwelling vascular catheters(10-15% ) 3. Urinary tract infections (UTI) - Related to urinary catheters(30-40%-MC) Q 4. Surgical site infection (SSI)(2ndMC) Q